Iodized salt in iodine deficiency control programme is
1. Secondary prevention
2. Primary prevention
3. Tertiary prevention
4. Primordial prevention

Correct answer: 2. Primary prevention